The fishnet pattern is seen in -
1. Pemphigus vulgaris
2. Bullous permphigoid
3. Dermatitis herpetiformis
4. Dariers disease

Correct answer: 1. Pemphigus vulgaris

Explanation: Pemphigus vulgaris